Classical example of transplacental carcinogenesis is -
1. Teratoma
2. Primary squamous cell carcinoma of vagina
3. Sarcoma botryoids
4. Clear cells adenocarcinoma of vagina

Correct answer: 4. Clear cells adenocarcinoma of vagina

Explanation: A series of genotypic and phenotypic changes in the fetus due to utero exposure to carcinogens.. Extensive metastasis. Clear cells adenocarcinoma of vagina.. A rare type. Of cancer. Often linked to diethylselbisterol drug administration.